Alveolar hyproventilation is observed in ?
1. Gullian-Barre syndrome
2. Acute asthma
3. Bronchiectasis
4. CREST syndrome

Correct answer: 1. Gullian-Barre syndrome

Explanation: Ans. is 'a' i.e., Guillian-Barre syndrome Neuromuscular diseases that can cause alveolar hypoventilation include myasthenia gravis, amyotrophic lateral sclerosis, Guillian-Barre syndrome, and muscular dystrophy. Patients with neuromuscular disorders have rapid, shallow breathing secondary to severe muscle weakness or abnormal motor neuron function. The central respiratory drive is maintained in patients with neuromuscular disorders. Thus, hypoventilation is secondary to respiratory muscle weakness. Chest wall deformities such as kyphoscoliosis, fibrothorax, and those occurring postthoraco-plasty are associated with alveolar hypoventilation leading to respiratory insufficiency and respiratory failure. Hypoventilation is not uncommon in patients with severe COPD. Alveolar hypoventilation in COPD usually does not occur unless the forced expiratory volume in 1 second (FEV1) is less than IL or 35% of the predicted value. However, many patients with severe airflow obstruction do not develop hypoventilation